Gram (+)ve bacilli causing meningitis:
1. Pneumococci
2. Listeria
3. E. coli
4. Meningococci

Correct answer: 2. Listeria

Explanation: Ans. (b) i.e. Listeria